The technique to produce limited removal of epithelial tissue in the sulcus while a chamfer finish line is being created in tooth structure is called
1. Soft tissue modification
2. Gingettage
3. Gingival displacement
4. Electrosurgery

Correct answer: 2. Gingettage